All are complication of ileal resection, Except -a) Megaloblastic anaemiab) Iron deliciency anaemiac) Gastric hyposecretiond) Malabsorption syndrome
1. bc
2. c
3. ac
4. ad

Correct answer: 1. bc